All are branches of lumbar plexus except :
1. Obturator nerve
2. Sub costal nerve
3. Iliohypogastric
4. Ilioinguinal

Correct answer: 2. Sub costal nerve

Explanation: Subcostal nerve is an anterior division of 12 the thoracic nerve which is larger than other intercostal nerves. Ref: Gray's Anatomy The Anatomical Basics of Clinical Practice 41 e pg 1371.